High tension electrical burns from overhead electrical lines can cause:
1. Myoglobinurea and Acute renal failure
2. Severe alkalosis
3. No ECG change will be seen in the first 24 hrs
4. Blood vessels are spared

Correct answer: 1. Myoglobinurea and Acute renal failure